The following is ideal for the treatment with injection of sclerosing agents:
1. External hemorrhoids
2. Internal hemorrhoids
3. Prolapsed hemorrhoids
4. Strangulated hemorrhoids

Correct answer: 2. Internal hemorrhoids

Explanation: Injection sclerotherapy is ideal for first degree internal haemorrhoids which bleed. Early second degree internal haemorrhoids may also be treated but a proportion relapses. Ref: Bailey and Love's Short Practice of Surgery, 24th Edition, Page 1258